The following hereditary disorders show an abnormally high predispostition to malignancy except-
1. Xerderma pigmentosum
2. Bloom's syndrome
3. Fanconi's anaemia
4. Cystinuria

Correct answer: 4. Cystinuria

Explanation: Ans. is `d' i.e., Cystinuria